Most common neurological disorder encountered in pregnancy:
1. Epilepsy
2. Alziemers disease
3. Cerebrovascular disorders
4. Multiple sclerosis

Correct answer: 1. Epilepsy

Explanation: Epilepsy is the most common neurological disorder encountered in pregnancy.